Best position for apically displaced flap is
1. At the alveolar crest
2. At 2mm apical to alveolar crest
3. At 1mm apical to alveolar crest
4. At 1mm coronal to alveolar crest

Correct answer: 2. At 2mm apical to alveolar crest